Which of the following cements bonds to tooth structure, which has an anticariogenic effect, has a degree of translucency and does not irritate the pulp?
1. Polycarboxylate cement
2. Resin cement
3. Silicate cement
4. Glass ionomer cement

Correct answer: 4. Glass ionomer cement